Which enzyme converts Testosterone to dihydroxytestosterone?
1. Aromatase
2. 5 a reductase
3. 5 a hydroxylase
4. 7 a hydroxylase

Correct answer: 2. 5 a reductase

Explanation: Ans. is 'b' i.e., 5 a reductase* 5 a reductase is the enzyme which converts testosterone to dihydroxytestosterone (DHT).* Testosterone is sufficient to support male secondary sexual characteristics* Dihydroxytestosterone (DHT) is however, essential for male type external genitalia to get established. DHT is found to have higher affinity for the receptors, which are responsible for male external genital development, than testosterone. In addition DHT is found to cause prostrate hyperplasia.* Hence 5 a reductase is necessary for male type external genitalia to get established